An 'intermediate syndrome' has been associated with:
1. Organophosphates
2. Opium
3. Cocaine
4. Alphos

Correct answer: 1. Organophosphates

Explanation: Ans. Organophosphates